Isolation is not needed for measles due to -
1. There are healthy carriers
2. Carriers are convalascents
3. The infectivity in diseased is low
4. There are incubatory carriers

Correct answer: 4. There are incubatory carriers

Explanation: Transmission directly from person to person by droplet infection from 4 days before onset of rash until 4days thereafter. REF. PARK'S TEXTBOOK OF PREVENTIVE AND SOCIAL MEDICINE 21ST EDITION. PAGE NO - 147